Inability to abduct left eye with LMN fascial palsy on same side. The lesion is in
1. Left pons
2. Right pons
3. CP angle tumor
4. Cerebellar lesions

Correct answer: 1. Left pons

Explanation: (A) Left pons # Foville's syndrome following dorsal pontine injury includes lateral gaze palsy, ipsilateral facial palsy, and contralateral hemiparesis incurred by damage to descending corticospinal fibers.> Millard-Gubler syndrome from ventral pontine injury is similar, except for the eye findings. There is ipsilateral lateral rectus weakness only, instead of gaze palsy, because the abducens fascicle is injured rather than the nucleus. Infarct, tumor, hemorrhage, vascular malformation, and multiple sclerosis are the most common etiologies of brainstem abducens palsy.